The following are characteristic of autism except -
1. Onset after 6 years of age
2. Repetitive behaviour
3. Delayed language development
4. Severe deficit in social interaction

Correct answer: 1. Onset after 6 years of age

Explanation: Ans. is 'a' i.e., Onset after 6 years of age